Superior thyoid artery is a branch of -
1. External carotid artery
2. Internal carotid artery
3. Common carotid artery
4. Arch of aorta

Correct answer: 1. External carotid artery

Explanation: Ans. is 'a' i.e., External carotid artery Branches of external carotid arteryFrom medial sideAscending pharyngealFrom frontSuperior thyroid arteryLingual arteryFacial arteryFrom behindOccipital arteryPosterior auricular arteryTerminal branchesSuperficial temporal arteryMaxillary artery